Following is mainly a non-inflammatory blistering disorder
1. Dermatitis herpetiformis
2. Phemphigus
3. Epidermolysis bullosa
4. Bullous phemphigoid

Correct answer: 3. Epidermolysis bullosa

Explanation: Epidermolysis bullosa is a non inflammatory blistering disorder.